Testosterone production is mainly contributed by:
1. Leydig cells
2. Seolie cells
3. Seminiferous tubules
4. Epididymis

Correct answer: 1. Leydig cells

Explanation: Testosterone is a Cl 9 steroid that is synthesized from cholesterol within the interstitial Leydig cells. Ref: Ganong's Review of Medical Physiology, 22nd Edition, Pages 424-25; Good Clinical Practice in Assisted Reproduction By Paul Serhal, Caroline Overton, 2004, Page 25.